All of the follow ing are criteria for irritable bow el syndrome except -
1. Change in frequency of stool
2. Blood & mucus in stool
3. Change in form of stool
4. Improves with defecation

Correct answer: 2. Blood & mucus in stool

Explanation: Ans. is 'b' i.e,. Blood and mucus in stool o Abdominal painQIt is prerequisite clinical feature of IBS.Abdominal pain in IBS is highly variable in intensity-1 and location. Most commonly it is localized to hypogasirium.o Altered bowel habitsQAlteration in bowel habit is the most consistent clinical feature The most common pattern is constipation alternating with diarrhoea.o Gas and flatulenceQPatients with IBS frequently complain of abdominal distension and increased belching or flatulence, all of which they> attribute to increased gas.o Upper Gastrointestinal Symptoms0Between 25-50% of patients with IBS complain of dyspepsia, heart burns, nausea and vomiting.o Remember that no anatomic, microbiological or biochemical abnormality has been demonstrated in these patients.o Also knosvDiagnostic Criteria far Irritable Bowel SyndromeRecurrent abdominal pain or discomfort at least 3 days per month in the last 3 months associated with two or more of the following:1. Improvement with defecation2 Onset associated with a change in frequency of stool3. Onset associated with a change in form (appearance) of stool